Features of obsessive-compulsive neurosis are -a) Repetitivenessb) Irresistibilityc) Unpleasantnessd)  Poor personal care
1. ab
2. abc
3. acd
4. bcd

Correct answer: 2. abc

Explanation: Obsession is repetitive, irresistible and unpleasant (produces distress & anxiety).